Singer's Alkali denatuaion test is performed for:
1. Rh incompatibility
2. Vasa Previa
3. Abruptio placenta
4. Preterm labour

Correct answer: 2. Vasa Previa

Explanation: Singer's alkali denaturation test is performed for Vasa Previa. Detection of nucleated RBCs using apt test or Singer's alkali denaturation test is diagnostic of vasa previa. It is based on the fact that fetal hemoglobin is resistant to alkali denaturation. Both Apt and Kleihauer-Betke Test can be used to detect the presence of fetal blood within a sample. Apt Test Kleihauer Betke Test Reagent NaOH Citric acid Phosphate buffer Assessment Qualitative Quantitative Ref: DC Dutta's textbook of Obstetrics 8th edition Pgno: 301